Tuberculin test is positive if induration is ?
1. >2min
2. >5mm
3. >7mm
4. >10mrn

Correct answer: 4. >10mrn

Explanation: Ans. is 'd' i.e., > 10mm TEST . Skin testing (tuberculin test) is most widely used screening test for M. tuberculosis infection. . There are three main tests currently in use :